The direct retainer of choice when the principle abutment tooth has Lost its periodontal support is:
1. Embrasure clasp
2. Ring clasp
3. Multiple circlet clasp
4. Onlay clasp

Correct answer: 3. Multiple circlet clasp